All of the following drugs are used in the treatment of visceral leishmaniasis, EXCEPT:
1. Hydroxychloroquine
2. Miltefosine
3. Paromomycin
4. Sitamaquine

Correct answer: 1. Hydroxychloroquine

Explanation: Drugs used in the treatment of visceral leishmaniasis are sodium stibogluconate and meglumine antimonate, amphotericin B, paromomycin, miltefosine. Sitamaquine is found to be effective and is undergoing trials. Drugs used for treating cutaneous leishmaniasis are: Pentavalent antimony Pentamidine isethionate Amphotericin B Fluconazole, Ketoconazole, Itraconazole Miltefosine Drugs used for treating mucosal leishmaniasis Pentavalent antimony Amphotericin B Pentamidine isethionate Ref: Sundar S. (2012). Chapter 212. Leishmaniasis. In D.L. Longo, A.S. Fauci, D.L. Kasper, S.L. Hauser, J.L. Jameson, J. Loscalzo (Eds), Harrison's Principles of Internal Medicine, 18e. Suurmond D. (2009). Section 29. Systemic Parasitic Infections. In D. Suurmond (Ed), Fitzpatrick's Color Atlas & Synopsis of Clinical Dermatology, 6e.